During development, the parts of ear develops at different intervals. All of the following are of adult size at birth, EXCEPT:
1. Oval window
2. Ear Ossicles
3. Middle ear cavity
4. Maxillary antrum

Correct answer: 4. Maxillary antrum

Explanation: Maxillary antrum reaches adult size by 15 yrs of age. At birth all three ossicles are of adult size and shape. Malleus and incus grow to adult size by 15 weeks and stapes by 18 weeks. The middle ear cavity is approximately adult sized at birth, as are the oval window, round window. Ref: Pediatric Otolaryngology, Volume 1, By Cuneyt M. Alper, Ellis M. Arjmand, Sylvan E. Stool, Margaretha L. Casselbrant, 2003, Page 134.